Of the following minerals the highest amount found in human body is:
1. Sodium
2. Calcium
3. Phosphorous
4. Iron

Correct answer: 2. Calcium